The drug which is highly Vestibulotoxic is:
1. Cisplatin
2. Streptomycin
3. Dihydrostreptomycin
4. Quinine

Correct answer: 2. Streptomycin

Explanation: Streptomycin